No color change is seen in subconjunctival hemorrhage due to:
1. Continuous CO2 supply
2. Little amount of blood is present
3. Continuous O2 supply
4. Color change occurs but not visible to naked eye

Correct answer: 3. Continuous O2 supply

Explanation: Ans. Continuous O2 supply